Exposure to multiple outcomes can be studied in
1. Cohort study
2. Case control study
3. Cross sectional study
4. Ecological study

Correct answer: 1. Cohort study

Explanation: In Cohort study, multiple outcomes can be studied together. In Case control study, multiple exposures can be studied together. COHORT STUDY: Time consuming & expensive study Incidence & RR can be calculated No recall bias Ethical problems are present & is not useful for rare diseases Loss of follow-up can be seen - max allowable attrition rate is < 5% ; ideal retention rate >= 95% HAWTHORN BIAS - study subjects alter their behavior without notice ; can be seen.